A lady undergoes radical hysterectomy for stage Ib ca cervix. It was found that cancer extends to lower part of body of uterus and upper part of cervix Next step of management will be:
1. Chemotherapy
2. Radiotherapy
3. Chemoradiation
4. Follow up

Correct answer: 4. Follow up

Explanation: Postoperatively it was found that carcinoma extends to the lower part of uterus. Now this is a trap because uterine extension has no significance in cancer cervix and does not change the staging.